Which of the structural domains of mammalian regulatory factors may be called intracellular receptors?
1. Response elements
2. Antirepressor domains
3. Transcription-activating domains
4. Ligand-binding domains

Correct answer: 4. Ligand-binding domains

Explanation: Mammalian regulatory factors are much more diverse than those of bacteria, possessing several types of structural domains. Activators of transcription, such as steroid hormones, may enter the cell and bind to regulatory factors at specific sites called ligand-binding domains; these intracellular "receptors" are analogous to G protein-linked membrane receptors that extend into the extracellular space. Response elements are not regulatory factors but DNA sequences near the transcription site for certain types of genes (e.g., steroid-responsive and heat shock- responsive genes). Regulatory factors interact with specific DNA sequences through their DNA-binding domains, and with other regulatory factors through transcription-activating domains. Some regulatory factors have antirepressor domains that counteract the inhibitory effects of chromatin proteins (histones and nonhistones).